Which of the following produces bile stained eggs?
1. Ancylostoma duodenale
2. Ascaris
3. Enterobius vermicularis
4. Necator americans

Correct answer: 2. Ascaris

Explanation: Ans. is 'b' i.e., Ascaris Eggs of HelminthsNon-bile stainedBile stainedAnkylostoma duodenaleHymenolepsis nonaEnterobius vermicularisNector AmericansMnemonic: "A HEN"Trichuris trichuraAscaris lumbricoidesTaenia saginataTaenia soliumMnemonic : "TATT"